Which of the following is a non-organ-specific (systemic) autoimmune disease?
1. Myasthenia gravis
2. Systemic lupus erythematosus
3. Hashimoto's thyroiditis
4. Pernicious anemia

Correct answer: 2. Systemic lupus erythematosus

Explanation: Ans. is 'b' i.e., Systemic lupus erythematosus(Ref: Jawetz, 27th/e, p. 149)* SLE is a disease involving antibodies to non-organ specific antigens such as DNA and induces immune complexes which deposit in the vascular bed causing kidney, skin, joint and cerebral lesions.